Narcolepsy is characterized by all of the folowing except -
1. Sleep paralys is
2. Cataplexy
3. Hallucination
4. Snoring

Correct answer: 4. Snoring